Thinnest wall of orbital cavity is
1. Medial wall
2. Lateral wall
3. Inferior wall
4. Superior wall

Correct answer: 1. Medial wall

Explanation: Thinnest wall of orbital cavity is Medial wall.